Which of the following statements about stavudine is accurate?
1. Bone marrow suppression is dose limiting
2. It causes marked neurotoxicity
3. It inhibits HIV protease
4. It is a non-nucleoside reverse transcriptase inhibitor

Correct answer: 2. It causes marked neurotoxicity

Explanation: Stavudine is an NRTI that is responsible for maximum peripheral neuropathy. It is a thymidine analogue which acts in the same way as Zidovudine. Because of long term serious metabolic complications like lipodystrophy, lactic acidosis and peripheral neuropathy stavudine is no longer employed in WHO as well as NACO regimens.